Extracampine hallucinations term was given by ?
1. Eugene Bleuler
2. William Harvey
3. Robert Macinoff
4. Eden Speroff

Correct answer: 1. Eugene Bleuler

Explanation: Ans. A. Eugene BleulerExtracampine hallucinationsThe term extracampine is indebted to Latin words extra - outside and campaneus - field.It was introduced in or shortly before 1903 by Swiss Psychiatrist Eugene Bleuler to denote a hallucination that is experienced by affected individual as being outside the range of normal perception.